HLA - B27 is associated with -
1. Ankylosing spondylitis
2. Rheumatoid arthritis
3. Chronic active hepatitis
4. Diabetes

Correct answer: 1. Ankylosing spondylitis

Explanation: A variety of diseases have been found to be associated with certain HLA alleles.
The best know is the association of HLA-B27 with ankylosing spondylitis (AS), individuals who inherit this allele have a 90 fold greater chance of developing AS than those who are negative for HLA - B27.